Which of these is not a cause of rightward shift of Oxygen – Hemoglobin dissociation curve?
1. Increased hydrogen ions
2. Decreased CO2
3. Increased temperature
4. Increased BPG

Correct answer: 2. Decreased CO2

Explanation: Hb-O2 dissociation curve shift to left indicates more affinity of Hb to O2 and thus less delivery of O2 to tissues. Exercise causes increased 2,3 DPG.
Shift to left seen in
-        Increased pH
-        Decreased 2,3 DPG, temperature, PCO2
-        HbF (Fetal)
Shift to right seen in
-        Decreased pH
-        Increased 2,3DPG, temperature, PCO2
-        HbS (Sickle cell)